Which among the following is associated with malignancy?
1. Echinococcus granulosus
2. Schisostoma hematobium
3. Paragonimus westermani
4. Giardia lamblia

Correct answer: 2. Schisostoma hematobium

Explanation: Ans: b) Schisostoma hematobiumSchisostoma hematobium has now been classified as a human carcinogen.S.hematobium is strongly associated with squamous cell carcinoma, urinary bladder.'Sandy patches' in cystoscopy is also a marked feature of s.hematobium. Paragonimus westermani is oriental lung fluke, having operculated eggs. Cerebral type paragonimiasis produce jacksonian epilepsy.